The Histological subtype of renal cell carcinoma having worst prognosis is
1. Clear cell carcinoma
2. Chromophobe type RCC
3. Collecting duct RCC
4. Papillary Rcc

Correct answer: 3. Collecting duct RCC

Explanation: Answer- C. Collecting duct RCCCollecting duct & Medullary- poor prognosis